Young's surgery is used in the treatment of-
1. Maxillary sinus carcinoma
2. Deviated nasal septum
3. Nasal polyp
4. Atrophic Rhinitis

Correct answer: 4. Atrophic Rhinitis

Explanation: Ans. is 'd' i.e. Atrophic Rhinitis Surgical treatment of Atrophic Rhinitis1) Young's operation . Closure of both the nostril following elevation of the nasal vestibular folds. They are opened after 6 months.2) Modified Young's operation. Partial closure of the nostril leaving behind a 3 mm hole. This remains for a period of 2 years.3) Narrowing of the nasal cavity by (Lautenslagers operation)o Submucosal injection of teflon paste. Insertion of fat, cartilage, bone or teflon strips under the mucoperiosteum of floor & lateral wall of nose. Section and medial displacement of lateral wall of nose.4) Lautenslagers operationo Surgical procedures aimed at medializing the lateral nasal wall using substances like : Paraffin, teflon, Polythere cartilage.